Which of the following sensation are transmitted by the Dorsal Tract/ Posterior column:
1. Fine touch
2. Pain
3. Temperature
4. All of the above

Correct answer: 1. Fine touch

Explanation: A i.e. Fine touchProprioceptive information is transmitted up the spinal cord in the dorsal columnQ. Majority of the proprioceptive input goes to the cerebellum but some passes to the cortex also (conscious Propriocetion). There is some evidence that propioceptive information passes to consciousness in the antero-lateral columns of the spinal cord. Conscious awareness of the position of various parts of body in space depends in part on impulses from sense organ in and around the joints. The organs involved are slowly adapting spray endings, structure that resemble golgi tendon organs, & probably pacinian corpuscles in the synovia & ligament.Dorsal column/medial lemniscal system: Fibers mediating fine touch & proprioception ascend in the dorsal column to the medulla, where they synapse in gracile & cuneate nuclei. The second order neurons from the gracile & cuneate nuclei cross the midline & ascend in the medial lemniscus to end in the thalamus. This ascending system is called dorsal column.Sensation carried byDorsal Column-Medial Lemniscal system Anterolateral Spinothalamic Tract- Fine (light) touchQ (requiring a high degree of- Sensations that signal movement against the skin- Two point discrimination (discriminative touch,- Joint-position senseQ fine gradations of intensity) Fine (light) pressureQlocalization of stimulus or requiring transmission of Phasic sensations such as vibration (pallesthesia) tactile discrimination or discrete localization) - Crude pressureQ Spinothalamic Tract Anterior (Ventral) localizing ability on the surface of body) Crude touchQ- - TemperatureItch, Tickle/ Thermal sensation (both warm & cold)Proprioceptionc2 (static position sense i.e. conscious * Sexual sensations also travel in anterolateral perception of orientation of different parts of body system.with respect to one another; and rate of movement sense /kinesthesia or dynamic proprioception).